Which of the following is not a 'heterophile reaction':
1. Weil Felix test
2. Paul Bunnell test
3. Frei's test
4. Cold agglutinin test

Correct answer: 3. Frei's test

Explanation: Frei's test is not a heterophile reaction Frie's test is used in the diagnosis of LGV. Antigen made from sterile pus aspirated from previously unruptured LGV abscesses, produces a reaction in patients with lymphogranuloma inguinale when injected intradermally. Heterophile reactiion Similar antigens on dissimilar organisms are called heterophile antigens Antibodies reacting with such antigens are called heterophile antibodies. Serologic tests employing such antigens are called heterophile tests. Heterophile agglutination tests include- Sheep RBCs agglutinate in the presence of heterophile antibodies and are the basis for the Paul-Bunnell test in Infectious mononucleosus. Agglutination of horse RBCs on exposure to heterophile antibodies is the basis of the Monospot test in Infectious mononucleosus. Patients suffering from some rickettsial diseases develop agglutinins against certain nonmotile strains of Proteus. This is the basis of Weil Felix test. Patients suffering from some Mycoplasma pneumoniae infection develop agglutinins against human blood group O RBC's. This is the basis of cold agglutination test. Patients suffering from some Mycoplasma pneumoniae infection develop agglutinins against Group F Streptococcus. This is the basis of Streptococcus MG test